Spina ventosa is:
1. Tubercular dactylitis
2. TB of spine
3. TB of vertebral pedicles
4. Extra-axial

Correct answer: 1. Tubercular dactylitis

Explanation: Ans (a) Tubercular dactylitisRef: Maheshwari 5th ed./203* Spina ventosa Cwind-filled sail") refers to the end- stage radiographic appearance of tuberculosis dactylitis. Cystic expansion of the short tubular bones with bone destruction.* Tuberculous dactylitis is the painless tuberculous involvement of the fingers and toes and is more common in children. It begins with fusiform soft-tissue swelling with or without periostitis.Also Know* MC site bone TB: Spine > Hip > Knee* MC site in spine is Thoracolumbar (paradiscal)* Earliest symptom: BACK PAIN* Triad of TB joint: Decreased joint space + articular damage + Juxta-articular osteoporosis* Spina ventosa- TB of short bones* Caries sicca: TB shoulder* Poncet disease: TB associated with polyarthritis.